Not seen in fecal pollution
1. Staphylococcus
2. Streptococcus
3. E.coli
4. Clostridium perfringens

Correct answer: 1. Staphylococcus